Lowest conc of Anaesthetic agent in pulmonary alveoli needed to produce immobility in response to painful stimulus in 50% individual is termed as:
1. Minimal alveolar concentration
2. Maximum alveolar concentration
3. Maximum analgesic concentration
4. Minimum analgesic concentration

Correct answer: 1. Minimal alveolar concentration

Explanation: Ans. is 'a' i.e. Minimal Alveolar concentration Minimal alveolar concentration (MAC)"is the lowest concentration of the anaesthetic in pulmonary alveoli needed to produce immobility in response to a painful stimulus in 50% individuals. It is accepted as a valid measure of potency of inhalational general anesthetics" - KDT